Which of the following is NOT a normal phase in the physiology of normal sexual arousal and orgasm?
1. Erogenous Phase
2. Plateau Phase
3. Orgasm
4. Refractory Period

Correct answer: 1. Erogenous Phase

Explanation: In sexual arousal, the first step is the excitement phase, followed by the plateau phase, which is marked by maintained sexual arousal. Orgasm may or may not follow this phase. The refractory period follows arousal, and finally the resolution phase marks the final step before the cycle can repeat itself. There is no phase known as the erogenous phase. Ref: Hoffman B.L., Schorge J.O., Schaffer J.I., Halvorson L.M., Bradshaw K.D., Cunningham F.G., Calver L.E. (2012). Chapter 13. Psychosocial Issues and Female Sexuality. In B.L. Hoffman, J.O. Schorge, J.I. Schaffer, L.M. Halvorson, K.D. Bradshaw, F.G. Cunningham, L.E. Calver (Eds), Williams Gynecology, 2e.